Murphy sign is seen in:
1. Acute pancreatitis
2. Acute appendicitis
3. Acute cholecystitis
4. Acute esophagitis

Correct answer: 3. Acute cholecystitis

Explanation: Ans. C i.e. Acute cholcystitis Murphy's sign It is useful for differentiating pain in the right upper quadrant. Typically, it is positive in cholecystitis, but negative in choledocholithiasis, pyelonephritis and ascending cholangitis.